Lost muscle in squint surgery is
1. MR
2. LR
3. SR
4. SO

Correct answer: 1. MR

Explanation: Ans. (a) MRwww.cybersight.orgwww.eyewiki.aao.orgRef: , , Pubmed, PMID: 11705143)Lost or slipped muscle is usually MR. It is known as the Surgeon's Graveyard.